Rafts in cell membrane are rich in which of the following?
1. Cholesterol
2. Linoleic acid
3. Protein
4. None of the above

Correct answer: 1. Cholesterol

Explanation: Some areas of the cell membrane are especially rich in cholesterol and sphingolipids and have been called rafts. These rafts are probably the precursors of flask-shaped membrane depressions called caveolae (little caves) when their walls become infiltrated with a protein called caveolin that resembles clathrin. There is considerable debate about the functions of rafts and caveolae, with evidence that they are involved in cholesterol regulation and transcytosis. Ref: Ganong's Review of Medical Physiology 23rd edition, Chapter 2.